A 30-year-old lady presents with features of malabsorption and iron deficiency anaemia. Duodenal biopsy reveals complete villous atrophy. Which of the following antibodies is likely to be present:
1. Antiendomysial antibodies
2. Anti-goblet cell antibodies
3. Anti-saccharomyces cerevisae antibodies
4. Antineutrophil cytoplasmic antibodies

Correct answer: 1. Antiendomysial antibodies

Explanation: -From the given case scenario, diagnosis of celiac disease is made due to features of malabsorption,IDA and complete villous atrophy - Serologic studies of celiac disease include: Antiendomysial antibodies Tissue transglutaminase Ab - most specific Antigliadin Ab - Complications of Celiac disease Enteropathic associated T- cell lymphoma - increaseed risk IDA malabsorption and skin complications -Rx: Cereal substitution ; Dapsone for dermatitis herpetiformis; steroids.